Women with PCOS and Hirsutism, management is :
1. Ethinyl estradiol
2. Ethinyl estradiol + Cyproterone Acetate
3. Levonorgestrel
4. Ethinyl estradiol + Levonorgestrel

Correct answer: 2. Ethinyl estradiol + Cyproterone Acetate

Explanation: Drugs used for Hirusitism: 1.Ovarian Suppression agents a.Oral Contraceptives b.Cyproterone acetate. c.GnRH agonist and antagonist. 2.Adrenal suppresion agents a.Glucocorticoids. 3.Androgen receptor blocking agents a.Spironolactone b.Flutamide. c.Cyproterone acetate. 5. 5 alpha reductase inhibitor a.Finasteride. Shaw's textbook of Gynecology 16th edition page no 152